Thyrotoxic myopathy affects ?
1. Muscles of the neck
2. Proximal limb muscles
3. Distal limb muscles
4. Muscles of the tongue

Correct answer: 2. Proximal limb muscles

Explanation: Thyrotoxic myopathy affects proximal limb muscles i.e. the front thigh muscles, arm muscles. Weakness is more when muscle contracts isometrically either while getting down steps or lifting a full bucket. Once hyperthyroidism is controlled, recovery occurs. Reference : page 473 SRB's manual of surgery 5th edition